A company executive, who travels world wide, presents with upper abdominal mass and + ye casoni's test. The organism is -
1. Echinococcus
2. Entamoeba histolytica
3. Hepatitis
4. Ascariasis

Correct answer: 1. Echinococcus

Explanation: Ans. is 'a' i.e., Echinococcus . Upper abdominal mass and positive casoni's test suggest the diagnosis of hydatid cyst caused by Echinococcus. . Casoni test is an immediate (type I) hypersensitivity reaction.